A patient with A -ve blood group can receive blood from:
1. O positive donor
2. B negative donor
3. AB positive donor
4. A negative donor

Correct answer: 4. A negative donor